Hour glass stomach is seen in -
1. Gastric carcinoma
2. Gastric ulcer
3. Gastric Lymphoma
4. Corrossive Strictures

Correct answer: 2. Gastric ulcer

Explanation: • Hour-glass stomach is caused by cicatricial contraction of a saddle shaped ulcer at the lesser curvature
• Tea-pot stomach is caused by longitudinal shortening of gastric ulcer at the lesser curvature of stomach (stomach looks like tea-pot)